Satiety center is located at
1. Ventromedial nucleus of hypothalamus
2. Dorsomedial nucleus of hypothalamus
3. Peritrigonal area
4. Lateral nuclei

Correct answer: 1. Ventromedial nucleus of hypothalamus

Explanation: Ans. (a) Ventromedial nucleus of hypothalamus(Ref: Ganong, 25th ed/p.308)Feeding center - lateral nucleus of hypothalamusSatiety center - ventromedial nucleus of hypothalamus